All of the following are true about reticular activating system except
1. Involved in arousal
2. Polysynaptic pathway
3. Receives collateral from sensory pathway
4. Doesnot produce EEG alerting response

Correct answer: 4. Doesnot produce EEG alerting response

Explanation: A high frequency stimulation of the midbrain reticular formation (the RAS) produces the EEG alerting response and arouses a sleeping animal. Reticular activating system (RAS) The RAS is a complex polysynaptic pathway arising from the brainstem reticular formation and hypothalamus with projections to the intralaminar and reticular nuclei of the thalamus which, in turn, project diffusely and nonspecifically to wide regions of the cortex including the frontal, parietal, temporal, and occipital cortices. Collaterals funnel into it from the long ascending sensory tracts, the trigeminal, auditory, visual , and olfactory systems. The reticular formation plays an important role in determining the level of arousal; thus, it is called the ascending activating system(ARAS). Ref: Ganong's Review of Medical Physiology 25th edition Pgno: 271, 278